Complicated cataract occurs at?
1. Posterior capsule
2. Anterior capsule
3. Posterior cortex
4. Anterior cortex

Correct answer: 3. Posterior cortex

Explanation: Ans. (c) Posterior cortexRef: Parson's 22/e, p. 268; American Academy of Ophthalmology p. 54Cataract secondary to intraocular diseases (Inflammatory and degenerative) is called complicated cataract.They occur due to posterior cortical atrophy.